Most common complication of supracondylar of the humerus :
1. Brachial artery injury
2. Cubitus varus
3. Myositis - ossificans
4. VIC

Correct answer: 2. Cubitus varus

Explanation: Ans. is 'b' i.e. Cubitus Varus deformity Malunion is the commonest complication of a supracondylar fracture and results in a cubitus varus deformity alsok/a Gun stock deformity.*t/t: Corrected only for cosmetic reason, t/t is a supracondylar corrective osteotomy* (French osteotomy)